A 53-year-old woman with known kidney disease presents to a hospital because her pain has become increasingly more severe. A physician performing kidney surgery must remember that:
1. The left kidney lies a bit lower than the right one
2. The perirenal fat lies external to the renal fascia
3. The renal fascia does not surround the suprarenal gland
4. The left renal vein runs anterior to both the aorta and the left renal artery

Correct answer: 4. The left renal vein runs anterior to both the aorta and the left renal artery

Explanation: The left renal vein runs anterior to both the aorta and the left renal artery.. The right renal artery runs behind the IVC and is longer than the left renal artery. Because of the large size of the right lobe of the liver, the right kidney lies a little lower than the left kidney. 4 coverings around the kidney from inside to outside are as follows: True capsule (Renal capsule):Collagen-rich connective tissue. Perinephric fat (adipose capsule): It is present b/w renal capsule and renal fascia. Renal fascia- Lies external to the perirenal fat and internal to the pararenal fat, Surrounds the suprarenal gland. Paranephric fat